Hyperacusis in Bell's palsy is due to the paralysis of the following muscle
1. Tensor tympani
2. Levator palatii
3. Tensor veli palatii
4. Stapedius

Correct answer: 4. Stapedius

Explanation: Hyperacusis is noise intolerance due to stapedial paralysis in bells palsy. Ref: Dhingra 6th edition Pg.95